Which of the following finding on MR imaging distinguishes vaginal atresia from mullerian agenesis
1. Amount of upper vaginal dilatation
2. Presence of cervix
3. Length of atresia
4. Hymeneal ring

Correct answer: 2. Presence of cervix

Explanation: Presence of cervix distinguishes vaginal atresia from mullerian agenesis.